Good cholesterol found in:
1. HDL
2. LDL
3. VLDL
4. IDL

Correct answer: 1. HDL

Explanation: A i.e. HDLHDL contains good cholesterolQ. So there is an inverse relation between HDL (HDL2) concentrations and coronoary heart disease. This is consistent with the function of HDL in reverse cholesterol transport.Diseases (eg. diabetes mellitus, lipid nephrosis, hypothyroidism and other considtions of hyperlipedimea) in which prolonged elevations of VLDL, IDL, LCD or chulomicron remnants in blood are often accompanied by premature or severe atherosclerosis. This makes LDL : HDL cholesterol ratio a good predective parameter for atherosclerosis & coronary heart disease.